Which of the nerve is known as criminal nerve of Grassi?
1. Vagus nerve
2. Trigeminal nerve
3. Hypoglossal nerve
4. Abducent nerve

Correct answer: 1. Vagus nerve

Explanation: Ans. A. Vagus nerveNerve of Grassi is the name given to the branches of posterior vagal trunk which arises at the level of gastroesophageal junction and supplies the gastric fundus